Which of the following is advocated in dicoumarol poisoning:
1. Warfarin
2. Heparin
3. LMWH
4. Vitamin K

Correct answer: 4. Vitamin K

Explanation: Ans. D: Vitamin K Dicoumarol is a competitive inhibitor of Vitamin K preventing the formation of prothrombin. Administration of Vitamin K is the antidote for dicoumarol toxicity. Follow-up is done by measuring the prothrombin time (PT).